All are TRUE about CA breast, EXCEPT -
1. Affected sibling is a risk factor
2. Paget's disease of nipple is intraductal type of CA
3. Common in aged nulliparous
4. Increased incidence with prolonged breast feeding

Correct answer: 4. Increased incidence with prolonged breast feeding

Explanation: Ans. is 'd' i.e., Increased incidence with prolonged breast feeding Prolonged breast feeding has a protective effect. Earlier it was controversial whether breast feeding had any beneficial effect or not. But many trials have now proved that longer durations of breast feeding have a protective effect. [Ref: Robbins 8/e p1077(7/e, p 1132); Cancer of Breast by Donegan & Spratt, 5/e, p 117; Bailey & Love 25/e p837 (24/e, p 835); NMS 4/e, p 449; Washington Manual of Surgery 4/e, p 525; Schwartz 8/e, p 466J Paget's disease of nipple -Paget's disease of the breast is a superficial manifestation of an underlying breast carcinoma. The underlying breast carcinoma is intraductal carcinoma. - it presents clinically as a chronic eczematous eruption of nipple, which may be subtle but may progress to an ulcerated, weeping lesion. - Paget's disease usually is associated with extensive DCIS and may be associated with an invasive cancer." The carcinoma may or may not be palpable. - Pathognomonic histological feature is presence of Paget's cells in the epithelium. Paget's cells are large pale vacuolated cells. Treatment is described ahead.